Continuous scrutiny of factors that determine the occurence and distribution of disease and other condition of ill health is the definition of:
1. Monitoring
2. Surveillance
3. Disease control
4. System analysis

Correct answer: 2. Surveillance

Explanation: Diseases under International Surveillance : Louse borne typhus fever Relapsing fever Poliomyelitis Malaria Human influenza Rabies Salmonellosis Monitoring versus Surveillance Monitoring Surveillance Performance and analysis of routine measurements aimed at detecting changes in environment or health status One Time linear activity No feedback present No inbuilt action component present Stops once disease is eliminated/eradicated Smaller concept Continuous scrutiny of the factors that determine the occurence and distribution of disease and other condition of ill-health Continous cycle Feedback present Inbuilt action component Continues even after disease is eliminated/eradicated Broader concept Ref: Park 25th edition Pgno: 47